Bovine cough is charactstic of
1. Acute epiglottis
2. Foreign body
3. Laryngeal paralysis
4. Chronic bronchitis

Correct answer: 3. Laryngeal paralysis

Explanation: (C) Laryngeal paralysis # Clinical Features: As all the muscles of larynx on one side are paralysed, vocal cord will lie in the cadaveric position i.e. 3.5 mm from the midline. The healthy cord is unable to approximate the paralysed cord, thus causing glottic incompetence. This results in hoarseness of voice and aspiration of liquids through the glottis. Cough is ineffective due to air waste.